Diagnostic tests for H. Pylori include all of the following except -
1. Urea-breath test
2. Rapid urease test
3. Gastric biopsy & Warthin-starry stain
4. SAFA test

Correct answer: 4. SAFA test